The treatment of choice for atticoantral variety of chronic suppurative otitis media is -
1. Mastoidectomy
2. Medical management
3. Underlay myringoplasty
4. Insertion of ventilation tube

Correct answer: 1. Mastoidectomy